The superficial external pudendal artery is a branch of which of the following artery?
1. Aorta
2. Femoral artery
3. External iliac artery
4. Internal iliac artery

Correct answer: 2. Femoral artery

Explanation: Superficial external pudendal artery is a branch of femoral artery. It runs medially to supply skin of the scrotum (or labium majus).